Vulval candidiasis is associated with :
1. Addison disease
2. Cushing disease
3. Diabetes mellitus
4. Acromegaly

Correct answer: 3. Diabetes mellitus

Explanation: Predisposing factors Diabetes: Increased glycogen in cells leading to increased lactic acid and acidic PH Pregnancy: Increased vaginal acidity Broad spectrum antibiotics Combined oral pills Immunosupression HIV Steroids Thyroid and Parathyroid disease Obesity Ref: Shaw Gynecology 17 e pg 330.